Which of the following sulfonylureas cannot be used in patients with kidney failure?
1. Glyburide
2. Glipizide
3. Gliclazide
4. Glimepiride

Correct answer: 1. Glyburide

Explanation: Glyburide should not be used in patients with liver disease and CKD due to risk of hypoglycaemia. Glipizide, Gliclazide and Glimepiride are metabolised by liver and hence can be used in patients with CKD.